Phobia in elevator is an example of?
1. Acrophobia
2. Social phobia
3. Claustrophobia
4. Algophobia

Correct answer: 3. Claustrophobia

Explanation: Ans. is 'c' i.e., Claustrophobia Specific phobiasi) Claustrophobia: - Fear of closed spacesviii) Erythrophobia : - Fear of blushingii) Aero/Aerophobia: - Fear of high placesix) Sitophobia : - Fear of eatingiii) Zoophobia : - Fear of animalsx) Pyrophobia : - Fear of fireiv) Xenophobia : - Fear of strangersxi) Ailurophobia : - Fear of catsv) Algophobia: - Fears of painxii) Sitaphobia :- Fear of dogsvi) Thanatophobia : - Fear of deathxiii) Hydrophobia : - Fear of watervii) Mysophobia : - Fear of dirt 8c germs